Fetal stage starts at :
1. 9 weeks
2. 3 weeks
3. 6 weeks
4. 12 weeks

Correct answer: 1. 9 weeks

Explanation: 9 weeks